The rate of absorption of sugars by the small intestine is highest for?
1. Pentose
2. Disaccharides
3. Hexoses
4. Polysaccharides

Correct answer: 3. Hexoses

Explanation: Ans. C HexosesRef: Harrison, 19th ed./Table 26.1 pg. 477* Hexoses are absorbed most rapidly; Amongst hexoses, glucose and galactose are absorbed more rapidly than others.* Mannose and pentose are absorbed more slowly.